Most difficult criterion to establish Causal Association in aetiology of a disease is
1. Specificity of association
2. Strength of association
3. Temporality
4. Biological plausibility

Correct answer: 1. Specificity of association